Which of the following is not a ventral branch of abdominal aorta?
1. Gonadal artery
2. Celiac trunk
3. Superior mesenteric artery
4. Inferior mesenteric artery

Correct answer: 1. Gonadal artery

Explanation: Ans. A Gonadal arteryRef: Gray's 41st ed. pg. 1047Ventral Branches of Abdominal Aorta and Level* Celiac trunk - T12 * Superior mesenteric artery - L1* Inferior mesenteric artery - L3Paired/Lateral Branches of Abdominal Aorta* Inferior phrenic artery* Middle suprarenal artery* Renal arteriesTesticular or Ovarian Artery* Four paired lumbar arteriesBranches of External Iliac Artery* Inferior epigastric artery* Deep circumflex iliac artery* Femoral artery